Prehn sign is positive in
1. Acute epidydimoorchitis
2. Chronic orchitis
3. Testicular torsion
4. None

Correct answer: 1. Acute epidydimoorchitis

Explanation: Answer- A. Acute epidydimoorchitisOn elevation of testis the-Pain is not relieved in torsion (test is negative)Pain relieved in epidydimoorchitis (test is positive)